Neonate triangular cord sign on USG is seen in –
1. Galactosemia
2. Biliary atresia
3. Hepatitis
4. None

Correct answer: 2. Biliary atresia

Explanation: Triangular cord sign is seen in biliary ateria due to fibrosis.